Pulsus Bigeminus is seen in therapy with:
1. Digitalis
2. Beta Blockers
3. ACE Inhibitors
4. Calcium Channel Blockers

Correct answer: 1. Digitalis

Explanation: Answer is A (Digitalis) Pulsus Bigeminus is recognized as a cause of digitalis toxicity. Pulsus Bigeminus is a disorder of rhythm (Irregular rhythm; arrhythmia) most commonly caused by Premature Ventricular Contractions that results in a pulse with irregular rhythm that alternates in amplitude (pressure) from beat to beat. The most common cause of Pulsus Bigeminus is Digitalis and Pulsus Bigeminus is recognized as a cause of digitalis toxicity.